Adenosine deaminase deficiency is seen in the following disease
1. Common variable immunodeficiency
2. Severe combined immunodeficiency
3. Chronic granulomatous disease
4. Nezelof syndrome

Correct answer: 2. Severe combined immunodeficiency